Paracusis is seen in
1. CSOM
2. Otosclerosis
3. Meniere's disease
4. ASOM

Correct answer: 2. Otosclerosis

Explanation: (Otosclerosis) (87-Dhingra 4th edition) (89- Maqbool 11th)Paracusis- Willisii - An otosclerotic patients hears better in noisy than quite surrounding. This is because a normal person will raise his voice in noisy surroundings, like in public transport, machine shops, engine rooms"Schwartze sign " - tympanic membrane shows flemingo-pink tinge in otosclerosis"Carhart's notch " -This is a pure tone audiometric findings is characteristic of otosclerosis (maximum at 2000 Hz)Clinical symptoms of Otosclerosis* Hearing loss conductive deafness* Paracusis - willisii* Tinnitus - More common in cochlear otosclerosis* Speech- monotonous* Vertigo- is uncommon* Presbycusis - sensorineural hearing loss associated with physiological aging process in the ear